Which of the following is not a feature of right middle cerebral artery territory infarct -
1. Aphasia
2. Hemiparesis
3. Facial weakenss
4. Dysarthria

Correct answer: 1. Aphasia